Artery not involved in Vascular anastemosis around Acromian
1. Thyrocervical Trunk
2. Thoracoacromial trunk
3. Anterior circumflex humeral artery
4. Posterior circumflex humeral artery

Correct answer: 3. Anterior circumflex humeral artery

Explanation: Acromial Branch of Thyrocervical Trunk (Branch of 1st part of Subclavian artery).
Acromial Branch of Thoracoacromial trunk (Branch of 2nd part of Axillary artery).
Acromial branch of  posterior circumflex humeral artery form anastomosis around Acromian.